Capnography is used for?
1. Oxygen saturation of blood
2. Amount of CO2 transported in blood
3. Diagnosing malignant hyperthermia
4. Myocardial perfusion

Correct answer: 3. Diagnosing malignant hyperthermia

Explanation: Ans. is 'c' i.e., Diagnosing malignant hypehermiaUses of CapnoGRaphyIt is the surest confirmatory sigr of correct intubation in trachea.Incorrect position of tube in the esophagus instead of trachea (esophageal intubation) will yield ETCO2 = 0.Diagnosing malignant hyperthermia - ETCO2 increases significantly (more than 100 mg Hg).